Spuriously high BP is seen in all except
1. Ausculatory BP
2. Small cuff
3. Thick calcified vessel
4. Obesity

Correct answer: 1. Ausculatory BP

Explanation: The auscultatory gap may give a falsely low recording of systolic BP, not spuriously high BP. In older patients with wide pulse pressure and in some hypertensive patients, the korotkoff sounds may become inaudible between SBP and DBP, reappear as cuff deflation continues, this is known as auscultatory gap. Small cuff size, obesity, and thick calcified arteries can give falsely high BP as in these condition, vessels are difficult to compress and higher cuff pressure is required to compress them. REf:: online sources https://en.wikipedia.org/wiki/Auscultatory_gap